Newborns have transplacentally acquired immunity against all of the following diseases except –
1. Measles
2. Pertusis
3. Diphteria
4. Poliomyelitis

Correct answer: 2. Pertusis